Poly dimethyl siloxane based sealer
1. AH26
2. AH plus
3. Epiphany
4. Gutta flow

Correct answer: 4. Gutta flow

Explanation: Gutta flow and Roeko seal are silicone based sealers all others are resin based sealers.